There is no correlation between X-ray appearance and clinical state of the patient with pneumonia in:
1. Mycoplasma
2. Freidlanders
3. Pneumococcal
4. Staphylococcal

Correct answer: 1. Mycoplasma

Explanation: Mycoplasma infection may begin with a sore throat and the most common presenting symptom is cough. The possibility of M. pneumoniae- when community-acquired pneumonia fails to respond to treatment with a penicillin or a cephalosporin--antibiotics that are ineffective against mycoplasmas. Clinical findings, non-microbiologic laboratory tests, and chest radiography are not useful for differentiating M. pneumoniae pneumonia from other types of community- acquired pneumonia. In addition, since M. pneumoniae lacks a cell wall, it is not visible on gram's stain.